Chloroquine toxicity causes all except ?
1. Loss of vision
2. Lichenoid eruptions
3. Convulsions
4. Weight gain

Correct answer: 4. Weight gain

Explanation: Ans. is 'd' i.e., Weight gain Side effects with chloroquine administration are frequent and unpleasant and include Nausea, Vomiting, Anorexia, Uncontrollable itching, Epigastric pain, Uneasiness, Difficulty in accommodation & Headache. Weight gain is not a feature of Chloroquine side effects.